Tolerance is seen in all, except:
1. Morphine
2. Amphetamine
3. Cocaine
4. Barbiturates

Correct answer: 3. Cocaine

Explanation: Ans. Cocaine